A wave in ERG is due to activity of:
1. Pigmented epithelium
2. Rods and cones
3. Ganglion cell
4. Bipolar cell

Correct answer: 2. Rods and cones

Explanation: Ans. Rods and cones